Wrong about chickenpox:
1. Highly contagious
2. Children 5-9 years old are most commonly affected
3. Incubation period ranges from 2 to 3 days
4. The hallmark of the infection include the skin lesions--maculopapules, vesicles, and scabs in various stages of evolution

Correct answer: 3. Incubation period ranges from 2 to 3 days

Explanation: Chickenpox Humans are the only known reservoir for VZV. Incubation period of chickenpox ranges from 10 to 21 days. Secondary attack rates are 70-90%. Patients are infectious ~48 h before onset of the vesicular rash, during the period of vesicle formation (which generally lasts 4-5 days), and until all vesicles are crusted. Clinically, chickenpox presents as a rash, low-grade fever, and malaise, although a few patients develop a prodrome 1-2 days before onset of the exanthem. The skin lesions--the hallmark of the infection--include maculopapules, vesicles, and scabs in various stages of evolution.